Intrinsic causes of hemolytic anemia are all except-
1. Hypersplenism
2. G6PD deficiency
3. Hereditary spherocytosis
4. Pyruvate kinase deficiency

Correct answer: 1. Hypersplenism

Explanation: Intrinsic causes of hemolytic anemias are due to defective RBCs which includes- Hereditary spherocytosis,Hereditary elliptocytosis, Hmp shunt enzyme deficiency(G6PD deficiency), glycolytic enzyme (pyruvate kinase )deficiency, thalassemia, sickle cell disease . While in hyper splenism RBCs are destroyed by sequestraion which is an extrinsic cause. Ref : Robbins pathologic basis of disease edition :9 pg 630 ; table 14-1